A patient of Scleroderma presents with acute respiratory distress. Chest X-ray shows B/L reticular basilar shadows. What is the next line of investigation in this patient?
1. Echocardiography to look for Cor pulmonale
2. High resolution CT
3. Pulmonary function test
4. Contrast enhanced CT scan

Correct answer: 2. High resolution CT

Explanation: If scleroderma is suspected or has been confirmed, it is important to verify whether or not it has spread to the lungs, where it can cause scar tissue formation. HRCT allows better assessmentof the extent and distribution of disease. In the appropriate clinical setting HRCT may be sufficiently characteristic to preclude the need for lung biopsy. Pulmonary function tests are done to measure how well the lungs are functioning. Echocardiogram: This is recommended once every 6 to 12 months to evaluate for complications like pulmonary hypertension and/or congestive heart failure.